A 3 months old male infant developed otitis media for which he was given a course of Co-trimoxazole. A few days later, he developed extensive peeling of the skin; there were no mucosal lesions and the baby was not toxic. The most likely diagnosis is:
1. Toxic epidermal necrolysis
2. Staphylococcal scalded skin syndrome
3. Steven Johnsom syndrome
4. Infantile pemphigus

Correct answer: 2. Staphylococcal scalded skin syndrome

Explanation: B i.e. Staphyloccocal Scalded Skin Syndrome - SJS and TEN are most severe form of EM and so may show atypical target lesions. TEN is caused by phenytoin, penicillin & sulfa drugsQ but there is no risk with aspirin & sulfonyl ureaQ.